A nullipara is on investigations for her infertility. She had a history of pulmonary tuberculosis which was treated effectively. If genital tuberculosis is the reason for her infertility, which organ can be affected the most?
1. Tubes
2. Uterus
3. Cervix
4. Vagina

Correct answer: 1. Tubes

Explanation: Genitourinary TB includes renal, ureteral, bladder, uterine-fallopian, prostatic, and epididymal disease. It is slightly more common in women than men and tends to involve older populations. The commonest site of affection is the Fallopian tubes. Both the tubes are affected simultaneously. The initial site of infection is in the submucosal layer (interstitial salpingitis) of the ampullary part of the tube. The fimbriae are everted and the abdominal ostium usually remains patent. The elongated and distended distal tube with the patent abdominal ostium gives the appearance of 'tobacco pouch'. Ref: Textbook of Gynaecology edited by D C Dutta, 4th edition, Page 129-130.